Bisecting angle technique is based on:
1. Geometric theorem
2. Imaging principle
3. Both of the above
4. None

Correct answer: 1. Geometric theorem

Explanation: The bisecting-angle technique is based on a simple geometric theorem,  Cieszynski’s rule of isometry, which states that two triangles are equal when they share one complete side and have two equal angles.